Cystic neoplasm of the pancreas with dismal prognosis is:
1. Serous cystadenoma
2. Mucinous cystic neoplasm
3. Solid pseudopapillary neoplasm
4. Ductal adenocarcinoma with cystic degeneration

Correct answer: 4. Ductal adenocarcinoma with cystic degeneration

Explanation: TYPE of CYSTIC NEOPLASM SEX PREDILECTION MALIGNANT POTENTIAL AND NATURAL HISTORY Serous cystadenoma Female Resection is curative serous cystadenocarcinoma is extremely rare Mucinous cystic neoplasm Female Resection is curative, regardless of degree of epithelial dysplasia; poor prognosis when invasive adenocarcinoma is present Intraductal papillary mucinous neoplasm Equal distribution Excellent prognosis for lesions showing only adenomatous and borderline cytologic atypia; poor prognosis when invasive adenocarcinoma is present Solid pseudopapillary neoplasm Female Indolent neoplasm with rare nodal and extranodal metastases; excellent prognosis when completely resected Cystic endocrine neoplasm Equal distribution Similar to that of solid neuroendocrine neoplasm Ductal adenocarcinoma with cystic degeneration Male predominance Dismal prognosis, similar to that of solid adenocarcinoma Acinar-cell cystadenocarcinoma Male Similar to that of solid type; aggressive neoplasm with slightly better prognosis than ductal adenocarcinoma Ref: Sleisenger and Fordtran's, E-9, P-1027